Acute puerperal mastitis. Most common organism is
1. Staphylococcus aureus
2. Streptococcus pyogenes
3. Streptococcus pneumonia
4. None

Correct answer: 1. Staphylococcus aureus

Explanation: Staphylococcus aureus